A 16-year-old female presents with cryptomenorrhea and with normal secondary sexual characters. Investigation of choice is
1. MRI brain
2. Prolactin estimation
3. Genital exam for out flow obstruction
4. None

Correct answer: 3. Genital exam for out flow obstruction

Explanation: (C) Genital exam for out flow obstruction # Girls with Imperforate Hymen present with colicky abdominal pain which is often cyclic.> Menarche has not yet set in, however the secondary sexual characters have been well developed.> As vagina gets progressively & increasingly distended with menstrual blood, pressure symptoms follow. Difficulty during micturition finally ends up with urinary retention> On examination a hypogastric or suprapubic bulge is often obvious which may cause discomfort on palpation.> It may be mistaken for a full bladder, ovarian cyst, appendicular mass, matted loops of bowel and omentum, encysted ascites due to tuberculosis, or even pregnancy.> On separation of the labia, a bluish bulging membrane is recognized. Thus the diagnosis of imperforate hymen causing haematocolpos is arrived at a rectal examination reveals the bulge of the vagina anteriorly.> An imperforate hymen causing haematocolpos is not an infrequent clinical entity. It is observed in young girls.